The most common toxin causing dilated cardiomyopathy is
1. Alcohol
2. Chemotherapeutic agents
3. Heavy metal
4. Occupational exposure

Correct answer: 1. Alcohol

Explanation: Ref Harrison 19 th ed pg 1558 Toxic 1.Alcohol 2.Catecholamin: amphetamines, cocaine 3.3.Chemotherapeut agents (anthracyclines, trastuzumab) 4.Interferon 5.Other therapeutic agents (hydroxychloroquine, chloroquine)6.Dru of misuse (emetine, anabolic steroids) 7. metals: lead, mercury Occupational exposure: hydrocarbons, arsenicals.